Which of the following sinus is related with middle ear cavity
1. Ethmoid
2. Cavernous
3. Transverse
4. Sigmoid

Correct answer: 4. Sigmoid

Explanation: i.e. (Sigmoid sinus): (714,686 - Snell 8th)Sigmoid sinus are a direct continuation of the transverse sinuses. Each sinus turns downward behind the mastoid antrum of the temporal bone and then leaves the skull through the jugular foramen to become the internal jugular vein.* The posterior wall of the mastoid antrum is related to the sigmoid venous sinus. If the infection spreads in this direction a thrombosis in the sigmoid sinus may take place (714 - Snell 8th)